In which of the following patients would Enalapril be the best 1st line drug for high blood pressure control?
1. A 62 year old man with renal artery stenosis
2. A 30 year old pregnant female
3. A 40 year old woman with hyperkalaemia
4. A 60 year old diabetic woman

Correct answer: 4. A 60 year old diabetic woman

Explanation: ACE inhibitors have been shown to reduce mortality in chronic heart failure, hypertension, and diabetic renal disease * ACE inhibitors and ARBs increase the risk of hyperkalemia in CKD and with supplemental K+ or K+-sparing drugs. ACE inhibitors and ARBs should be discontinued during pregnancy as they cause fetal kidney damage.ACE inhibitors may cause acute renal failure particularly in patients with bilateral renal artery stenosis or stenosis of the renal artery of a solitary kidneyKatzung Pharmacology 12th edition Pg: 185